The following drugs are used for the treatment of type II lepra reaction, except –
1. Clofazimine
2. Thalidomide
3. Cyclosporine
4. Glucocorticoids

Correct answer: 3. Cyclosporine